Organ transplant in twin -
1. Isograft
2. Allograft
3. Autograft
4. Xenograft

Correct answer: 1. Isograft

Explanation: Ans. is 'a' i.e., Isograft